A 7 year old presents with left exotropia; right eye has 6/6 vision with normal fundus. Left eye has only close hand movements with subretinal yellow exudates and retinal detachment and telegiectatic vessels. Diagnosis is:
1. Sympathetic ophthalmia
2. Coats disease
3. ROP
4. Familial exudative vitreous retinopathy (FEVR)

Correct answer: 2. Coats disease

Explanation: Ans. (b) Coats diseaseRef: Kanski 7/e, p. 582* Unilateral loss of vision with squint, exudates & RD points towards Coats diseaseFamilial exudative vitreoretinopathy (FEVR) Usually a positive family (AD, XLR) Bilateral but may be asymmetrical involved Unlike ROP not associated with LBW or prematurity Peripheral vascular telangiectasias Fibrovascular proliferation with tractional retinal detachment Massive subretinal exudates May present with leukocoria & squint